Pain & temperature is carried by which tract:
1. Lateral Spinothalamic
2. Posterior spinocerebellar
3. Dorsal column
4. Anterior corticospinal

Correct answer: 1. Lateral Spinothalamic

Explanation: Ans. A. Lateral SpinothalamicThe spinothalamic tract is a sensory pathway from the skin to the thalamus. From the ventral posterolateral nucleus in the thalamus, sensory information is relayed upward to the somatosensory cortex of the postcentral gyrus.The spinothalamic tract consists of two adjacent pathways: anterior and lateral. The anterior spinothalamic tract carries information about crude touch. The lateral spinothalamic tract conveys pain and temperature.The pathway crosses over (decussates) at the level of the spinal cord, rather than in the brainstem like the dorsal column- medial lemniscus pathway and lateral corticospinal tract.